The only reliable symptom of hypoglycemia in a patient on beta blocker therapy is
1. Tremor
2. Sweating
3. Tachycardia
4. Palpitations

Correct answer: 2. Sweating

Explanation: * All the symptoms of hypoglycemia are blocked by beta blockers except sweating as it has cholinergic innervation * Beta blockers (non selective) are contraindicated in : ABSOLUTE C/I Pheochromocytoma Decompensated heart failure symptomatic bradycardia AV block Asthma RELATIVE C/I Peripheral vascular disease